Infliximab is contraindicated in
1. Crohn's disease
2. Intestinal tuberculosis
3. Ankylosing spondylitis
4. Rheumatoid arthritis

Correct answer: 2. Intestinal tuberculosis

Explanation: (B) Intestinal tuberculosis # Infliximab is a drug used to treat autoimmune disorders.> Infliximab is known as a "chimeric monoclonal antibody" (the term "chimeric" refers to the use of both mouse (murine) and human components of the drug i.e. murine binding Fab domains and human constant Fc domains).> Case studies have been done into other uses of infliximab, such as to treat skin diseases.> Infliximab has been approved for treating ankylosing spondylitis, Crohn's disease, fistulizing Crohn's disease, pediatric Crohn's disease, psoriatic arthritis, psoriasis, rheumatoid arthritis, and ulcerative colitis.> Infliximab is also prescribed (out of indication) for the treatment of Behcet's disease and infusions of infliximab have been used successfully in the treatment of sciatica due to slipped discs